Hailey – hailey disease is also called as –
1. Benign familial chronic pemphigus
2. Pemphigus acutus
3. Pemphigus
4. Lyell's syndrome

Correct answer: 1. Benign familial chronic pemphigus

Explanation: Hailey-Hailey disease is also referred to as Benign familial pemphigus.